In osteogenic sarcoma predominant histological finding is
1. Giant cells
2. Osteoid forming tumor cells
3. Fibroblastic proliferation
4. Chondroblasts

Correct answer: 2. Osteoid forming tumor cells

Explanation: Histological appearance of osteosarcomaIt appears pale and extending through the cortex on gross cut section examinationOn histological sections, it consists of malignant stromal tissue showing the osteoid formation (Refer: Mohindra's Fundamentals of Orthopedics, 2nd edition, pg no. 283)